Neill-Mooser reaction is used to diagnose-
1. Rickettsiae
2. Chlamydiae
3. Mycoplasma
4. Herpes

Correct answer: 1. Rickettsiae